Axial length of eye ball is:
1. 16 mm
2. 20 mm
3. 24 mm
4. 28 mm

Correct answer: 3. 24 mm

Explanation: Dimension of eye ball Anteroposterior- 24mm Circumference- 75mm Volume of each eye- 6 ml Volume of each orbit = 30 ml Weight- 7gm